Vaginal discharge is seen in -
1. Gonorrhoea
2. Chlamydia
3. Herpes
4. All

Correct answer: 4. All

Explanation: Ans-D i.e., All RTI/STI syndromes in Women Symptoms Syndromes Causative organisms Vaginal discharge Vaginal discharge syndrome Gonorrhoea, Chlamydia, Trichomoniasis, Herpes Simplex Candidiasis, Bacterial Vaginosis, Cervicitis Lower abdominal pain Lower abdominal pain syndrome Gonorrhea, Chlamydia. Mycoplasma Gardnerella, Anaerobic Bacteria (Bacteroids, e.g. gram-positive cocci) Genital Ulcers Genital ulcer syndrome Syphilis, Chancroid, genital Herpes, Genital Warts, Molluscum Contagiosum, pediculosis pubis, Scabies RTI/STI syndromes in Men Symptoms Syndromes Causative organisms Urethral Discharge Urethral/Vaginal discharge syndrome Gonorrhea, Chlamydia, Trichomonas Genital ulcers Genital ulcer syndrome Chancroid, Syphilis, Genital Herpes Inguinal bubos Inguinal bubo syndrome Lymphogranuloma venereum. Chancroid Scrotal swelling Painful Scrotal Swelling Gonorrhea, Chlamydia Genital skin conditions Genital skin conditions Genital Warts, Molluscum Contagiosum, Pediculosis Pubis, Scabies